Pathology of which system can leads to disorders of autonomic nervous system?
1. Peripheral nervous system
2. Central nervous system
3. None
4. Either a or b

Correct answer: 4. Either a or b

Explanation: Pathology of either CNS or PNS can leads to disorders of autonomic nervous system. Autonomic nervous system The ANS innervates the entire neuraxis and influences all organ systems. It regulates blood pressure (BP), heart rate, sleep, glandular, pupillary, bladder and bowel function. It maintains organ homeostasis and operates automatically. C/F of ANS disorders Loss of function, overactivity, or dysregulation of autonomic circuits. Disorders of autonomic function should be considered in patients with: Unexplained Orthostatic hypotension Syncope Sleep dysfunction Altered sweating (hyperhidrosis or hypohidrosis) Impotence GI symptoms bladder disorders,etc